Warthin Finkeldey giant cells are seen in:
1. Mumps
2. Rubella
3. Measles
4. Polio

Correct answer: 3. Measles

Explanation: Fusion of infected cells results in multinucleated giant cells, aka Warthin-Finkeldey giant cells that are pathognomonic for measles Measles: IP- 8-12 days Receptors for measles virus- CD150 & PVRL4 C/F: Prodromal phase- fever, conjuctivitis, coryza Koplik spots on inner cheeks (at the levels of 1st & 2nd molars), vagina, conjuctiva. Rash begins behind the ear & spreads downwards MC complication- otitis media MC cause of death- pneumonia Mumps: Spread by respiratory droplets IP- 12-25 days C/F: Fever B/L or U/L parotid swelling Orchitis common in adolescents male MC complication- Aseptic meningitis